Which of the following does not occur in mitochondria?
1. TCA cycle
2. HMP Shunt
3. Urea cycle
4. Beta oxidation of fatty acids

Correct answer: 2. HMP Shunt